Most common nerve used conduction study in H reflex -
1. Median nerve
2. Ulnar nerve
3. Tibial nerve
4. Peroneal nerve

Correct answer: 3. Tibial nerve

Explanation: *The H reflex is basically an electrophysiologically recorded Achilles' tendon stretch reflex. *It is performed by stimulating the tibial nerve in popliteal fossa. *It is recorded over the soleus or gastrocnemius muscle. *It is used most commonly to evaluate S1 radiculopathy or to distinguish it from an L5 radiculopathy. REF:Ref: Text book of Neurology p.781